For anesthesiology mild systemic disease included in ASA grade-
1. 1
2. 2
3. 3
4. 4

Correct answer: 2. 2

Explanation: Ans. is 'b' i.e., 2 ASA GradePatient conditionASA 1Normal healthy patient (no physical or mental illness)ASA 2Mild systemic disease not limiting functional activity(mild heart disease, DM, Mild hypertension, Anemia, Old age, obesity, mild chronic bronchitis)ASA 3Severe systemic disease that limits activity but not incapaciating (Angina, Severe DM, cardiac failure)ASA 4Severe systemic disease that is life-threatening(Marked cardiac insufficiency; presistent angina; severe renal, respiratory or hepatic insufficiency)ASA 5Moribund patient who is not expected to survive without operationASA 6Brain dead patient (for organ donation).